Sensitivity means the ability to detect -
1. True negative
2. True positive
3. False negative
4. False positive

Correct answer: 2. True positive

Explanation: For easy to remember :
Sensitivity → "I know my patient has the disease. What is the chance that the test will show that my patient has it".
Specificity → "I know my patient doesn't have the disease. What is the chance that the test will show that my patient doesn't have it".